Mitochondria gene (True statement):
1. Paternal transmission
2. Maternal transmission
3. Mendelian inheritance
4. Mitochondrial myopathy

Correct answer: 2. Maternal transmission

Explanation: B i.e. Maternal tranmission